Micturating cystourethrogram shows filling defect in the urinary bladder. Likely diagnosis is________
1. Sacrococcygeal teratoma
2. Vesicoureteric reflux grade II
3. Duplication of ureter
4. Ureterocele

Correct answer: 4. Ureterocele

Explanation: A ureterocele is a birth defect that affects the kidney, ureters (the tubes that carry urine from the kidneys to the bladder), andbladder. A ureterocele blocks the flow of urine resulting in swelling at the bottom of one of the ureters. Blockage that cannot be resolved and possible infection can damage the kidneys. Reference: GHAI Essential pediatrics, 8th edition